Nerve supply to stylohyoid is from?
1. 1st arch
2. 2nd arch
3. 3rd arch
4. 4th arch

Correct answer: 2. 2nd arch

Explanation: The stylohyoid is supplied by the facial nerve, which is the nerve of the second pharyngeal arch. Ref: BD Chaurasia's HUMAN ANATOMY, Volume 3, 4th edition.